Bilateral facial nerve palsy is seen in
1. Herpes zoster
2. Ramsay Hunt syndrome
3. Gullian Barre syndrome
4. Melkersen Rosenthal syndrome

Correct answer: 3. Gullian Barre syndrome

Explanation: (C) Gullian Barre syndrome # BILATERAL FACIAL PALSY occurs in Gullian Barre syndrome, in a form of sarcoidosis called uveoparotid fever (Heerfordt syndrome) & in bilateral acoustic neuroma,> Facial Neuropathy: An isolated facial palsy may occur in patients with HIV seropositivity, sarcoidosis, or Lyme disease. In the Ramsay Hunt syndrome, pain and vesicles appear in the external auditory canal, and patients lose their sense of taste in the anterior two-thirds of the tongue while developing ipsilateral facial palsy. The geniculate ganglion of the sensory branch of the facial nerve is involved. Tumors that invade the temporal bone (carotid body, cholesteatoma, dermoid) may produce a facial palsy, but the onset is insidious and the course progressive. Acoustic neuromas frequently involve the facial nerve by local compression. Infarcts, demyelinating lesions of multiple sclerosis, and tumors are the common pontine lesions that interrupt the facial nerve fibers; other signs of brainstem involvement are usually present. Bilateral facial paralysis (facial diplegia) occurs in Guillain-Barre syndrome and also in a form of sarcoidosis known as uveoparotid fever (Heerfordt syndrome). Lyme disease is a frequent cause of facial palsies in endemic areas. Rare Melkersson-Rosenthal syndrome consists of a triad of recurrent facial paralysis, recurrent--and eventually permanent-- facial (particularly labial) edema, and less constantly, plication of the tongue; its cause is unknown. Leprosy: Frequently involves the facial nerve, and facial neuropathy may also occur in diabetes mellitus.